All are amides EXCEPT:
1. Lignocaine
2. Procaine
3. Prilocaine
4. Etidocaine

Correct answer: 2. Procaine

Explanation: ANSWER: (B) ProcaineREF: KDT 4th edition page 161Amide linked LA(Mnemonic = two "I" in the spelling)Ester linked LA(Mnemonic= one "I" in the spelling)Lignocaine (Lidocaine/xylocaine)BupivacaineDibucainePrilocaineRopivacaineCocaineProcaineChlorprocaineTetracaineBenzocaine